Which of the following statement regarding portal venous system is TRUE?
1. Valves are present at the junction of superior mesenteric vein and splenic vein
2. Whole system is valveless
3. Valves are present in the intrahepatic system
4. There are about 10-12 valves along the entire course

Correct answer: 2. Whole system is valveless

Explanation: In adults, the portal vein and its tributaries have no valves. In fetal life and for a short postnatal period valves are demonstrable in its tributaries, but they usually atrophy. Rarely some persist in an atrophic form into adulthood. Portal venous system comprises of portal vein and its 3 tributaries, splenic vein, superior and inferior mesenteric vein. Thses veins drain the blood from the intestinal tract, from the oesophagus to the rectum, from the spleen and pancreas to the liver. Portal vein carries 75% of total blood flow to the liver. Normal portal pressure is 5 - 10mmHg.